A alcoholics addicted presents in emergency with irrelevant talking & disoriented to time, place and person there is H/O not taking alcohol from last 3 days & no head injury. He also have visual hallucination. The diagnosis?
1. Dementia praecox
2. Delirium tremens
3. Schizophrenia
4. Korsakoff psychosis

Correct answer: 2. Delirium tremens

Explanation: B i.e. Delirium tremens